ALL - L3 cells resembles
1. Mantle cell lymphoma
2. Burkitt's lymphoma
3. Hodgkin's lymphoma
4. Follicular lymphoma

Correct answer: 2. Burkitt's lymphoma